Use of an acrylated arch bars for closed reduction of mandible was described by
1. Schuchardt(1956)
2. Risdon (1929)
3. Stanstout (1943)
4. Leonard (1977)

Correct answer: 1. Schuchardt(1956)